In maxillary 1st permanent molar, the 2 obtuse angles are
1. Mesiolingual and mesiofacial
2. Mesiofacial and distolingual
3. Distofacial and mesiolingual
4. Distofacial and mesiofacial

Correct answer: 3. Distofacial and mesiolingual